All of the following cause microcytic hypochromic anaemia, EXCEPT:
1. Lead poisoning
2. Thalessemia
3. Iron deficiency
4. Fanconi anaemia

Correct answer: 4. Fanconi anaemia

Explanation: Ans. is 'd' Fanconi anemia Causes of microcytic hypochromic anaemiaIron deficiency anaemiaThalassemiaSideroblastic anaemiaLead poisoning